Deep inguinal ring is formed in:
1. Transversus abdominis
2. Transversalis fascia
3. External oblique aponeurosis
4. Internal oblique aponeurosis

Correct answer: 2. Transversalis fascia

Explanation: Ans. B Transversalis fascia* Deep inguinal ring is an oval opening formed in transversalis fascia.# It lies about 0.5 inch (1.3 cm) above inguinal ligament midway between anterior superior iliac supine and symphysis pubis.# Medial to deep inguinal ring is inferior epigastric vessels.Extra Mile# Superficial inguinal ring: A triangular shaped opening in the aponeurosis of external oblique muscle and lies immediately above and medial to pubic tubercle.